Genes MOST closely associated with familial cases of ovarian cancer are:
1. BRCA1
2. WT1
3. NF2
4. VHL

Correct answer: 1. BRCA1

Explanation: Ans. A. BRCA1About 5-10% of cases of ovarian cancer develops in women who belong to a cancer family. In familial instances of ovarian cancers, the cancers tend to develop at a younger age, but are thought to possibly have, a barely better analysis as compared to isolated instances, on an average.Additionally, families with multiple instances of breast cancers caused due to genetic mutations in BRCA1 or BRCA2 have an increased prevalence of ovarian cancers.The BRCA1 mutation is particularly malicious and up to 30-40% of females having this mutation develop ovarian cancer. (Also, there are cases of families where women have a BRCA1 mutation, does not develop breast cancer, but develop ovarian cancer at an increased rate). Another cancer syndrome, the Lynch II syndrome (also termed as the hereditary nonpolyposis colorectal cancer syndrome), is also linked with ovarian cancer (and cancers of the breast, pancreas, uterus and stomach).In both the families i.e. breast cancer families and Lynch II families, the genetic pattern seen is usually autosomal dominant with variable penetrance. In most of the cases, where women who belong to cancer families, having age of 35 and have had their children are offered prophylactic oophorectomy.Note:* VHL is associated with Von Hippel-Lindau disease, pheochromocytoma and renal cell carcinoma.* NF2 is associated with neurofibromatosis type II, meningiomas and acoustic neuromas.* WT1 is associated with Wilms tumor